Oaubain acts by inhibiting
1. Adenyl cyclase
2. Ca+ chanells
3. H+K+ ATPase
4. Na+K+ATPase

Correct answer: 4. Na+K+ATPase

Explanation: Ouabain is a cardiac glycoside and in lower doses, can be used medically to treat hypotension and some arrhythmias. It acts by inhibiting the Na/K-ATPase, also known as the sodium-potassium ion pump Refer kDT 6/e p496